Supreme court guidelines regarding the criminal negligence by a doctor include all Except
1. Complaint against doctor must have prima facie evidence
2. Must get independent opinion from government doctor
3. Must have prima facie evidence from competent doctor
4. Must be arrested immediately

Correct answer: 4. Must be arrested immediately

Explanation: Doctors accused of rashness or negligence may not be arrested simply because charges have been levelled against them; this may be done only if it is necessary for furthering the investigation, or for collecting evidence, or if the investigating officer fears that the accused will abscond. Private complaints must be accompanied by the credible opinion of another competent doctor supporting the charge of rashness or negligence. In the case of police prosecutions, such an opinion should preferably from a doctor in government service. Ref: Krishan Vij textbook of forensic medicine, 5th edition pg : 206